A patient presented with clinical features of ataxia and incoordination. It is most likely due to involvement of which artery among the following.
1. Anterior cerebral
2. Middle cerebral
3. Posterior cerebral
4. Superior cerebellar

Correct answer: 4. Superior cerebellar

Explanation: Given symptoms s/ocerebellar lesion. Three arteries supply blood to the cerebellum: Superior cerebellar artery (SCA)- branch of basilar artery Anterior inferior cerebellar artery (AICA)- branch of basilar artery Posterior inferior cerebellar artery (PICA)- branch of vertebral artery